Bull’s eye lesion in the macula is seen with:
1. Chloroquine
2. Primaquine
3. Quinine
4. Sulfamethoxazole

Correct answer: 1. Chloroquine

Explanation: Bull’s eye maculopathy is the appearance of macula in which circular bands of different shades of pink and orange are visible. It is may be caused by chloroquine and hydroxychloroquine.
Clinically important consideration for drug-melanin binding involves the retinal pigment epithelium. In the retinal pigment  epithelium, accumulation of chloroquine causes a toxic retinal lesion known as a “bull’s-eye” maculopathy, which is associated with a decrease in visual acuity.​
Reference: Goodman and Gillman, the Pharmacological basis of Therapeutics 12 ed page no 1780​